First clinical sign of Vitamin - A deficiency is:
1. Night blindness
2. Conjunctival xerosis
3. Bitot's spots
4. Keratomalacia

Correct answer: 2. Conjunctival xerosis

Explanation: All the ocular manifestations of Vitamin - A deficiency are collectively known as 'Xerophthalmia' (Dry Eye). - Xerophthalmia is most common in children aged 1-3 years. 'First clinical sign' of Vitamin - A deficiency: Conjunctival xerosis . 'First clinical symptom' of Vitamin - A deficiency: Night blindness. Conjunctival xerosis in Xerophtalmia - characteristic appearance of emerging like sand banks at receding tide. 'Bitot's Spots' are triangular, pearly-white or yellowish, foamy spots on bulbar conjunctiva, on either side of cornea ( temporal > nasal).